Condyloma accuminatum is produced by which type of papillomavirus?
1. KPV6, 16
2. HPV6.11
3. HPV 16, 18
4. HPV11.I8

Correct answer: 2. HPV6.11

Explanation: Ans: B (HPV 6. 11) Ref: Rook's dermatology, 8th ed Internet sourcesExplanation:HPV associated conditionHPV typesCommon warts2, 7Plantar warts1,2, 4. 63Flat warts3, 10. 8Anogenital warts (Condyloma accuminatum)6, 11,42, 44Anal lesions6, 16. 18, 31, 53, 58Genital cancers16, 18, 31, 45Focal epithelial hyperplasia (oral)13, 32Oral papillomas6. 7, 11, 16, 32Oropharyngeal cancer16Verrucous cyst60Laryngeal papillomatosis6,11